The most common site of peptic ulcer in duodenum -
1. 1st part
2. 2nd part
3. 3rd part
4. 4th part

Correct answer: 1. 1st part

Explanation: Ans. is 'a' i.e., 1st part Peptic ulcero Ulcers are defined histologically as a breach in the mucosa of the alimentary tract that extends through the muscular mucosa into the submucosa or deep.o Peptic ulcers are chronic, most often solitary lesions that occur in any portion of the gastrointestinal tract exposed to the aggressive action of acid/peptic juice.Peptic ulcers located in the following sits, in order of decreasing frequency:1.Duodenum, 1st portion2 Stomach, usually antrum3 At the gastroesophageal junction in the setting of gastroesophageal reflux or Barrett's esophagus.4 Within the margins of a gastrojejunostomy.5 In the duodenum, stomach or jejunum of patients with Zollinger -Ellison Syndrome.6 Within or adjacent to Meckel's diverticulum that contains ectopic gastric mucosa.